All of the following can cause acute pancreatitis except -
1. Gall stones
2. Alcohol
3. Trauma
4. Hepatitis

Correct answer: 4. Hepatitis

Explanation: Ans. is 'd' i.e., Hepatitis Causes of Acute PancreatitisCommon CausesGallstones (including microlithiasis) - most commonAlcohol (acute and chronic alcoholism) - IInd most commonHypertriglyceridemiaEndoscopic retrograde cholangiopancreatography (ERCP), especially after biliary manometryTrauma (especially blunt abdominal trauma)Postoperative (abdominal and nonabdominal operations)Drugs (L-asparginase, thiazide diuretics, frusomide, estrogens, azathioprime, 6-mercaptopurine, methyldopa, sulfonamides, tetracyclin, valproic acid, anti-HIV medications).Sphincter of Oddi dysfunctionUncommon causesVascular causes and vasculitis (ischemic-hypoperfusion states after cardiac surgery)Connective tissue disorders and thrombotic thrombocytopenic purpura (TTP)Cancer of the pancreasHypercalcemiaPeriampullary diverticulumPancreas divisumHereditary pancreatitisCystic fibrosisRenal failureRare causesInfections (mumps, coxsackievirus, cytomegalovirus, echovirus, parasites)Autoimmune (e.g., Sjogren's syndrome)